Cry ptomenorrhoea true is -
1. Seen in cases of imperforate hymen
2. Hematocolpos is present
3. Retention of urine may be seen
4. All the above

Correct answer: 4. All the above

Explanation: Ans. is 'd' i.e., All the above Cryptomenorrhoeao Condition where the menstrual blood fails to come out of the genital tract due to obstruction in the passageo The commonest cause is congenital due to "imperforate hymen"o It can also be seen following cervical amputation, conization or deep cauterization.Pathophysiologyo Site of obstruction low down in vagina - hematocolpos - hematometra - hematosalpinx.o Hematocolpos produces elongation of the urethra and retention of urine.Managemento Cruciate incision in the hymen and drainage of blood in cases of imperforate hymen.